Ross procedure involves?
1. Replacement of aortic valve with pulmonic homograft
2. Replacement of aortic valve with autologous pulmonic valve and implantation of pulmonic valve homograft
3. Replacement of mitral valve with tissue prosthesis and repair of tricuspid valve
4. Replacement of aortic valve with porcine valve and repair of pulmonary valve

Correct answer: 2. Replacement of aortic valve with autologous pulmonic valve and implantation of pulmonic valve homograft

Explanation: Ross Procedure: Specialized aortic valve surgery in which patient's diseased aortic valve is replaced with his own pulmonary valve. The pulmonary valve is then replaced with the cryopreserved cadaveric pulmonary valve.